The maxillary vein accompanies
1. First part of maxillary artery.
2. Second part of maxillary artery.
3. Third part of maxillary artery.
4. None.

Correct answer: 1. First part of maxillary artery.